Which of the following can be reliably used for hand washing -a) Chlorhexidineb) Isopropyl alcoholc) Lysold) Cresole) Glutaraldehyde
1. ac
2. a
3. ad
4. ab

Correct answer: 4. ab